Causes of a transudate ascites include all the following except:
1. Tuberculosis
2. Nephrotic syndrome
3. Hypoproteinemia
4. Congestive cardiac failure

Correct answer: 1. Tuberculosis